Movement of shoulder joint is controlled by
1. C8 T1
2. C5 6 7 8
3. C4 5 6
4. C7 8 T1 2

Correct answer: 2. C5 6 7 8

Explanation: Nerue Supply to shoulder joint Axillary nerve.(C5,C6) Musculocutaneous nerve.(C5,C6,C7) Suprascapular nerve. Ref - BDC 6the p 144